A patient with respiratory symptoms undergoes bronchoalveolar lavage. Which of the following findings would be MOST suggestive that congestive heart failure is the cause of the symptoms?
1. Ciliated bronchial epithelial cells
2. Encapsulated pairs of small cocci
3. Hemosiderin-laden macrophages
4. Rhomboid-shaped crystals

Correct answer: 3. Hemosiderin-laden macrophages

Explanation: Hemosiderin-laden macrophages are sometimes called "heart failure cells" because they are so often seen in congestive heart failure. The congestive heart failure causes increased pulmonary capillary pressure with tiny hemorrhages. The pulmonary alveolar macrophages phagocytize the dead erythrocytes and retain the iron from the hemoglobin in the form of hemosiderin. Ciliated bronchial epithelial cells are a normal finding. The cocci described in choice B are pneumococcus, and can cause pneumonia. Rhomboid shaped crystals describes Charcot-Leyden crystals, found in allergic asthma.Ref: Essentials of Rubin's pathology, 5th Ed, Page 199.